In Shigella dysentery associated hemolytic uremic syndrome, the false statement is –
1. Leucocytosis
2. Neurological abnormalities
3. Hepatic failure
4. Thrombotic angiopathy

Correct answer: 3. Hepatic failure

Explanation: Hepatic failure does not occur in HUS.

Laboratory findings of HUS 

Thrombocytopenia                                                                                                                    
ARF →↑BUN and creatinine with oliguria                                                                        
Peripheral smear Helmet cells, burr cells, fragmental RBCs (Schistocytes).                    
Hemoglobinuria with hemosiderinuria     
Leukocytosis             
Microscopic hematuria      
Proteinuria    
Normal PT and APTT                                                     
Option B requires some explanation here -
Though neurological manifestations may occur in HUS, these are not common and this feature differentiated HUS from TTP. In TTP neurological symptom is one of the clinical criteria for diagnosis.